Most common abnormality of proto-oncogene in human tumours is
1. p53 point mutations
2. Point mutation in RAS family gene
3. Point mutation in C-kit gene
4. Overexpression of RET proto-oncogene

Correct answer: 2. Point mutation in RAS family gene